Zileuton is -
1. 5 lipooxygenase inhibitor
2. TX A2 inhibitor
3. Leukotriene receptor antagonist
4. Prostaglandins synthesis inhibitor

Correct answer: 1. 5 lipooxygenase inhibitor

Explanation: Ans. is 'a' i.e., 5 lipooxygenase inhibitor 5-lipoxygenase inhibitoro 5-lipoxygenase involved in production of leukotrienes especially LTB4 (chemoattractant) and LTC4, LTD4 (Bronchoconstrictor). These are the most important mediators in bronchial asthma.o Zileuton inhibits 5-lip>>xygenase and thereby the production of leukotrienes. Therefore, Zileuton is useful in the treatment of asthma.